All of the following are classified as 'Small fiber' neuropathies' except:
1. Vitamin B 12 deficiency
2. HIV Induced
3. Hansen's disease
4. Amyloidosis

Correct answer: 1. Vitamin B 12 deficiency

Explanation: Answer is A (Vitamin B12 deficiency): Vitamin B12 deficiency associated neuropathy is primarily a 'Large Fiber' neuropathy arising from dorsal column involvement. Lepromatous Leprosy (Hansen's Disease), HIV associated neuropathy and Amyloidosis associated neuropathy are all classified as 'Small-Fiber' neuropathies. Classification of Neuropathy by Fiber Tyepe Motor Autonomic (Guillain-Barre syndrome); relapsing Heritable motor-sensory Acute pandysautonomic neuropathy, botulism, porphyria, GBS, vacore, amiodarone, vincristine neuropathies Chronic: Acute intermittent porphyria Amyloid, Diabetes, Sjogren's, HSAN I Diphtheritic neuropathy and Ill (Riley-Day), Chagas, Lead neuropathy Paraneoplastic. Brachial neuritis Note: GBS, Guillain-Barre syndrome; Diabetic lumbosacralplexus neuropathy (diabetic amyotrophy) HSAN, hereditary sensory and autonomic neuropathy. Small fiber (Painful neuropathies; dissociated sensory loss) Large fiber (Ataxic-Neuropathies) Mixed (small & large) fiber (Global sensory loss) * Hereditary sensory neuropathies (early) * Sjogren's syndrome * Carcinomatous sensory * Lepromatous leprosy * Vitamin B12 neuropathy neuropathy * Diabetic (includes glucose intolerance) (from dorsal column * Hereditary sensory neuropathies small-fiber neuropathy involvement) (recessive and dominant) * Amyloidosis * Cisplatin neuropathy * Diabetic sensory neuropathy * Analphalipoproteinemia (Tangier disease) * Pyridoxine toxicity * Vacor intoxication * Fabry's disease (pain predominates) * Dysautonomia (Riley-Day syndrome) * Friedreich's ataxia * Xanthomatous neuropathy of primary biliary cirrhosis * I-11V and antiretroviral therapy neuropathy (tabes dorsalis)